Intermittent claudication at the level of the hip indicates-
1. Popliteal artery occlusion
2. Bilateral iliac artery occlusion
3. Common femoral occlusion
4. Superficial femoral artery occlusion

Correct answer: 2. Bilateral iliac artery occlusion